Which of the following vaccine should not be given during pregnancy ?
1. HBV
2. Measles, mumps, rubella
3. Typhoid
4. Cholera

Correct answer: 2. Measles, mumps, rubella

Explanation: Ans. is 'b' i.e., Measles, mumps, rubella As a rule of thumb the vaccination with live viral or bacterial vaccine is contraindicated in pregnancy. o The important ones are : - Measles Mumps Poliomyelitis Rubella Yellow fever Varicella BCG